The forcible separation of the head of the radius from the capitulum of the humerus is mainly prevented by the?
1. Articular capsule
2. Annular ligament
3. Quadrate ligament
4. Radial collateral ligament

Correct answer: 2. Annular ligament

Explanation: The radial notch of the ulna and the annular ligament form a ring in which the head of the radius rotates at its articulation with the capitulum of the humerus. The annular ligament narrows over the neck, cupping the head of the radius and preventing downward dislocation.